Which of the following is true regarding globi in a patient with lepromatous leprosy -
1. Consists of lipid laden macrophages
2. Consists of macrophages filled with AFB
3. Consists of neutrophils filled with bacteria
4. Consists of activated lymphocytes

Correct answer: 2. Consists of macrophages filled with AFB

Explanation: ‘Intracellularly, M.leprae are arranged as – parallel cigar bundles of bacilli bound with lipid like glia (globi) present inside foamy macrophage (Virchow’s leprae cell)’